Local anaesthetic of choice for IVRA
1. Bupivacaine
2. Lignocaine
3. Tetracaine
4. Procaine

Correct answer: 2. Lignocaine

Explanation: Lignocaine is preferred for IVRA.